Among the surgeries of stress incontinence, the long-term success rate is maximum with
1. Burch's colposuspension
2. Stamey's repair
3. Kelly's stitch
4. Aldridge surgery

Correct answer: 1. Burch's colposuspension

Explanation: Burch Colposuspension It corrects both stress urinary incontinence and cystocele Not suitable if vagina is narrowed or scarred by previous surgeries Surgery is performed by a low transverse suprapubic incision Procedure: Bladder, bladder neck and proximal urethra are dissected medially off the underlying paravaginal fascia and three or four pairs of non-absorbable or delayed absorbable sutures are inserted between the fascia and ipsilateral iliopectineal ligament This sutures elevates bladder neck and bladder base Disadvantages: Detrusor overactivity may occur denovo or maybe unmasked by the procedure Voiding difficulties may occur 85% success rate is balanced against development of enterocele and rectocele postoperatively It has been superseded by TVT Tape Ref: SHAW'S TEXTBOOK OF GYNAECOLOGY; 15th edition; Pg no:194